A 35-year-old woman presents with 6-month history of skin rash and fatigue. Physical examination shows pallor and a necrotizing erythematous skin rash of her lower body. Laboratory studies reveal mild anemia and fasting blood glucose of 160 mg/dL. A CT scan of the abdomen demonstrates a 2-cm mass in the pancreas. Which of the following is the most likely diagnosis?
1. Carcinoid tumor
2. Gastrinoma
3. Glucagonoma
4. Insulinoma

Correct answer: 3. Glucagonoma

Explanation: Necrotizing migratory erythema develops in association with the hypersecretion of glucagon by alpha cell-containing tumors (glucagonomas). These patients also have mild hyperglycemia and anemia. The other choices do not present with these clinical signs and symptoms.Diagnosis: Glucagonoma